The largest ovarian tumour is seen with?
1. Pseudomucinous cystadenoma
2. Serous cystadenoma
3. Papillary cystadenoma
4. Dysgerminoma

Correct answer: 1. Pseudomucinous cystadenoma

Explanation: Ans. is 'a' i.e., Pseudomucinous cystodenomao Mucinous tumor tend to produce larger cystic masses, and some have been recorded with weights of more than 25 kg.